Competitive neuromuscular blockade is enhanced by all except
1. Hypercalcemia
2. Hypermagnesemia
3. Acidosis
4. Aminoglycosides

Correct answer: 1. Hypercalcemia

Explanation: Hypocalcemia enhances neuromuscular blockade of competitive neuromuscular blockers.